Long term use of aspirin in rheumatoid arthritis is limited by its propensity to cause :
1. Metabolic acidosis
2. Hypersensitivity reactions
3. Gastric mucosal damage
4. Salicylism

Correct answer: 3. Gastric mucosal damage